Latency seen in viral infections-
1. HSV-II
2. CMV
3. HIV
4. All

Correct answer: 4. All

Explanation: Ans. is 'a' i.e., HSV - H 'b' i.e., CMV; 'c' i.e., HIV Measles Edmonston - Zagreb Strain Rubella RA 27/3 Strain BOG Danish 1331 Strain Mumps Jeryl - Lynn Strain Latent infection is caused by . HBV . HIV . VZV . HHV-6, HHV-7, HHV-8 (Human Herpes Virus) . HCV . HTLV . Some pox viruses . Rabies Virus . HPV . EBV . Measles Virus . HSV . CMV